Most permeable to pure phospholipid bilayer
1. Oxygen
2. Na
3. Cl
4. Water

Correct answer: 1. Oxygen

Explanation: Phospholipid bilayer act as amphipathic molecule. Oxygen is most permeable. (REF. GANONG'S REVIEW OF MEDICAL PHYSIOLOGY 24 EDITION, PAGE NO - 36)